Labyrinthine artery is a branch of?
1. Posterior inferior cerebellar artery
2. Vertebral artery
3. Posterior cerebral artery
4. Anterior inferior cerebellar artery

Correct answer: 4. Anterior inferior cerebellar artery

Explanation: The labyrinthine artery (auditory artery, internal auditory artery), a long slender branch of the anterior inferior cerebellar artery (85%-100% cases) or basilar artery.